Fasting Blood sugar should be maintained in a pregnant diabetic female as:
1. 70-100 mg%
2. 100-130 mg%
3. 130-160 mg%
4. 160-190 mg%

Correct answer: 1. 70-100 mg%

Explanation: Ans. is a, i.e. 70-100mg%Ref Dutta Obs. 7/e, p 285Metabolic Goals during Pregnancy:Fasting <95mg/dL1 hr PP <140mg/dL2 hr PP <120mg/dL (average 100mg/dl)HbA1c-6%-If these goals are not achieved patient should be put on Insulin.